Sweating is not present in:
1. Heat syncope
2. Heat cramp
3. Heat stroke
4. Heat fatigue

Correct answer: 3. Heat stroke

Explanation: Ans. c. Heat stroke (Ref: Reddy 33/e p319; Parikh 6/e p381)Sweating is not present in Heat stroke."Heat stroke (hyperpyrexia, sunstroke, systemic hyperthermia): This is attributed to an impaired functioning of the heat regulating mechanism caused by failure of cutaneous circulation and sweating. It is due to prolong exposure to he sun's infrared rays, and/or to hot atmosphere. "Heat stroke (Heat hyperpyrexia/Sun stroke/ Thermic Fever)Heat cramps (Miner's cramps/ Stoker's cramp/ Firemen's cramp)Heat exhaustion (Heat collapse/Heat syncope/Heat prostration)* It is due to failure of heat regulating mechanismQ* Caused by failure of cutaneous circulation & sweatingQ.* Occurs due to exposure to heat in open & humid environmentQ.* All signs of shock are present* There is sudden collapse with loss of consciousness.* Dry skin, hot flushes with absence of sweatingQ* These are painful spasm of voluntary muscles, which follow strenuous work in a hot atmosphere.* Caused by toss of water & salt in profuse sweatingQ.* Collapse without any elevation of body temperature.* Occurs due to exposure to high temperature in closed environment* Precipitated by muscular exercise & unsuitable clothing.* There is extreme exhaustion with peripheral vascular collapse with scanty sweatingQ